In a child with juvenile rheumatoid arthritis, the eye examination shows presence of.
1. Band keratopathy
2. Vortex keratopathy
3. Fuchs endothelial dystrophy
4. Bitot spots

Correct answer: 1. Band keratopathy

Explanation: Ans. (a) Band keratopathy.